The following are complications of ulcerative colitis except -
1. Peptic ulceration
2. Arthritis
3. Sclerosing cholangitis
4. Toxic megacolon

Correct answer: 1. Peptic ulceration